Fertility, mortality, marriage, migration and social mobility are 5 components constituting
1. Demographic trends
2. Demographic characteristics
3. Demographic processes
4. Demographic indicators

Correct answer: 3. Demographic processes

Explanation: Demography deals with five 'Demographic processes' namely fertility, mortality, marriage, migration and social mobility.These 5 processes are continuously at work within a population determining size, composition and distribution.(Ref:- Park. 23rd ed. Page no 479)